Membrane proteins are synthesized in -
1. Free ribosome
2. Bound ribosome
3. Nucleolus
4. Mitochondria

Correct answer: 2. Bound ribosome

Explanation: Ans. is 'b' i.e.. Bound ribosomeRibosomeso Ribosomes are the actual sites of protein synthesis^. The ribosomes are small granules of RNAs. Ribosomes are usually occur in clusters called polyribosomes attached to one mRNA molecule, an arrangement that increases the rate of polypeptide synthesis. There are two types of polyribosomes : -Free (cytosolic) : - Present free in cytosol.Bound polyribosome: - Present on rough ER.o Both types can synthesize protein : -Proteins synthesized by polyribosomesCytosolic (free) PolyribosomesBound (rough ER) Polyribosomeso Cytosolic proteins, e.g., Hemoglobino Cytoskeletal proteinso Mitochondrial proteinso Nuclear proteinso Peroxisomal proteinso Synthesize all membrane proteinsMitochondrial membraneER membraneGolgi apparatus membranePlasma membraneo Secretory proteinso Lysosomal enzymes